Which of the following drugs is having the least oral bioavailability ?
1. d–tubocurarine
2. Morphine
3. Ampicillin
4. Phenytoin

Correct answer: 1. d–tubocurarine